Urinary bladder calcification radiologicaly which resemble fetal head in pelvis is
1. Adenocarcinoma of bladder
2. Bladder stone
3. Schistosomiasis
4. Marion’s disease

Correct answer: 3. Schistosomiasis

Explanation: Schistosomiasis is associated bladder carcinoma ( SCC > TCC).